Windkessel effect is seen in
1. Large elastic vessels
2. Capacitance vessels
3. Throughfare channels
4. Capillaries

Correct answer: 1. Large elastic vessels

Explanation: Windkessel effects are large vessels that contain large amount of elastic fibres and few amount of smooth muscle fibres. These vessels can distend due to elasticity during systole and can recoil back during diastole. Examples are aorta and its large branches. Since these vessels are elastic, during systole, they are stretched to accommodate the extra blood. The forward flow becomes continuous due to the elastic recoil of vessels during diastole. This recoil effect is called windkessel effect.Ref: Textbook of medical physiology by N Geetha, 2nd edition, page no: 174